MDR tuberculosis is defined by :
1. Resistance to all first and second line anti-tubercular agents
2. Resistance to any three first line anti-tubercular agents
3. Resistance to all first line and any three classes of second line anti-tubercular agents
4. Resistance to isoniazid and rifampicin

Correct answer: 4. Resistance to isoniazid and rifampicin